Diffusion hypoxia seen during -
1. Induction of anesthesia
2. Reversal of anesthesia
3. Post operative period
4. None of the above

Correct answer: 2. Reversal of anesthesia

Explanation: Ans. is 'b' i.e., Reversal of anaesthesia Second gas effect and diffusion hypoxiao In initial part of induction, diffusion gradient from alveoli to blood is high and larger quantity of anaesthetic is entering blood.o If the inhaled Concentration of anaesthetic is high (eg N2O), Substantial loss of alveolar gas volume will occur and it creates negative intralveolar pressure that leads to removal of more gas from cylinder to alveoli - Concentration effect.o If another inhalation agent is (eg Halothane) is being given at the same time, it also will be delivered to lung from the cylinder (due to negative intraalveolar pressure) - Second gas effect.o During recovery reverse occurs - N2O having low blood solubility, rapidly diffuses into alveoli and dilutes the alveolar air - partial pressure of oxygen in alveoli is reduced.o The resulting hypoxia is known as diffusion hypoxia.o Diffusion hypoxia can be prevented by continuing 100% O2 inhalation for a few minutes after discontinuing N2O, instead of straight away switching over to air.Remembero Concentration effect and secondary gas effect - during induction.o Diffusion hypoxia - during recovering.o All these occur with N2O only.